Not true about superior laryngeal nerve
1. Its block anesthetises Laryngeal mucosa
2. It supply larynx below the vocal cord
3. It passes from thyrohyoid membrane
4. It passes between thyroid cartilage and hyoid bone

Correct answer: 2. It supply larynx below the vocal cord